Kaposi's sarcoma is more commonly seen in patient with
1. AIDS
2. Amyloidosis
3. Leukemia
4. HSV infection

Correct answer: 1. AIDS